Subacute Sclerosing Panencephalitis is a rare and dangerous complication of;
1. Measles
2. Mumps
3. Rubella
4. Varicella

Correct answer: 1. Measles

Explanation: SSPE Subacute sclerosing Pan encephalitis (SSPE) is a rare complication of measles. SSPE occurs in about 1 in every 300,000 natural cases of measles. It is a form of chronic progressive brain inflammation caused by slow infection with certain defective strains of hypermutated measles virus It is also known as Dawsondisease,Dawsonencephalitis, andmeaslesencephalitis